Maximum risk of invasive breast carcinoma is seen with?
1. Complex Fibroadenoma
2. Sclerosing Adenosis
3. Intraductal papilloma
4. Atypical ductal hyperplasia

Correct answer: 4. Atypical ductal hyperplasia

Explanation: ANSWER: (D) Atypical ductal hyperplasiaREF: Sabiston Textbook of Surgery, 18th ed Table 34-3, Schwart'z 8til edition Table 17-4"Annual risk for development of breast cancer in a woman with lobular carcinoma insitu (LCIS) is slightly less than 1% per year, and with either atypical ductal hyperplasia (ADH) or atypical lobular hyperplasia (ALH) it is between 0.5% and 1% per year" (NOTE: Annual risk and relative risk provided in the chart are different)Cancer Risk Associated with Benign Breast Disorders and In Situ Carcinoma of the BreastNonproliferative lesions of the breastNo increased riskSclerosing adenosisNo increased riskIntraductal papillomaNo increased riskFlorid hyperplasia1.5 to 2-foldAtypical lobular hyperplasia4-foldAtypical ductal hyperplasia4-foldDuctal involvement by cells of atypical ductal hyperplasia7-foldLobular carcinoma in situ10-foldDuctal carcinoma in situ10-fold